Conjugate vaccines are available for the prevention of invasive disease caused by all of the following except
1. Hemophilus influenzae
2. Streptococcus pneumoniae
3. Neisseria meningitidis group C
4. Neisseria meningitidis group B

Correct answer: 4. Neisseria meningitidis group B

Explanation: Conjugate vaccine is now available where polysaccharide antigen is conjugated to diphtheria toxoid which makes the vaccine immunogenic to children below 2 years. Monovalent and polyvalent vaccines containing capsular polysaccharide of Meningococci group A, C, W-135 and Y are available. Induces good immunity after a single dose in older children and adults Little value in children below the age of two years as polysaccharide antigen is T cell independent. Immunity is group specific. Reference: Textbook of Microbiology; Anathanarayan and panicker's; 10th edition; Page no: 233